Site of lesion in Bitemporal hemianopia is
1. Optic nerve
2. Optic tract
3. Optic chiasma
4. Optic radiation

Correct answer: 3. Optic chiasma

Explanation: C i.e. Optic chiasma